Calcium channel blockers are used in all EXCEPT:
1. Angina
2. Arrhythmia
3. Congestive heart failure
4. Hypertension

Correct answer: 3. Congestive heart failure